Treatment of choice in a young patient with primary dysmenorrhea is :
1. Presacral neurectomy
2. Dilatation
3. Hysterectomy
4. Symptomatic

Correct answer: 4. Symptomatic

Explanation: Symptomatic